A ranula is most appropriately described by which of the following statements?
1. It is a type of Epulis
2. A form of thyroglossal cyst
3. A cystic swelling in the floor of mouth
4. A type of mucus retention cyst

Correct answer: 3. A cystic swelling in the floor of mouth

Explanation: Ranula is a cystic swelling in the floor of the mouth due to the obstruction of one or more ducts of the sublingual gland. It does not always represent a mucus retention cyst, it is more commonly a mucus extravasation cyst. It is neither a type of Epulis nor a type of thyroglossal cyst. Ref: The Medical Student's Vade Mecum: or Manual of Examinations upon Anatomy. By George Mendenhall, Page 362; A Manual of Examinations By John Livingston Ludlow, Page 355; Bailey 25th Edition, Page 754; Colour Atlas of oral Diseases' by Laskaris (Threme) 1999, Page 88